Feed forward control system is employed during the regulation of
1. Blood volume
2. pH
3. Temperature
4. Blood pressure

Correct answer: 3. Temperature

Explanation: Ans. (c) Temperature(Ref: UMP, 4th ed/RL Bijlani p.12)There is a control system in our body when no stimulus is required but still the system ANTICIPATES and makes corrective changes. Such a system is called Feed forward or Anticipatory or Adaptive ControlExamples of feed forward controlTemperature control - Thermoregulatory responses are initiated by hypothalamus BEFORE the changes in environmental temperature have succeeded in changing the body's core body temperatureCephalic phase of gastric secretion- Just thinking about food increases gastric acid productionThinking about exercise itself increases heart rate & respiratory rateRole of cerebellum in motor coordination